Prostaglandins are obtained from:-
1. Stearic acid
2. Arachidonic acid
3. Linoleic acid
4. Linolenic acid

Correct answer: 2. Arachidonic acid

Explanation: NOTE:-Arachidonic Acid is a 20 carbon fatty acid. No.of double bonds in Arachidonic acid =4 Key points to Remember Linoleic Acid- Most essential Fatty Acid. Richest source of linoleic Acid - Safflower oil. Richest source of Arachidonic Acid - Safflower oil. Richest source of Linolenic Acid - Flaxseed oil.